Commonest intramedullary spinal tumour is-
1. Secondaries
2. Neurofibroma
3. Ependymoma
4. None of the above

Correct answer: 3. Ependymoma